All of the following are true about regional blood flow in pregnancy except:
1. Uterine blood flow at term is 750 ml/min
2. Blood flow through skin decreases
3. Renal blood flow increases by 50%
4. Pulmonary blood flow increase

Correct answer: 2. Blood flow through skin decreases

Explanation: Ans. is b, i.e. Blood flow through skin decreasesRef Dutta Obs 9/e, p 49REGIONAL DISTRIBUTION OF BLOOD FLOW DURING PREGNANCY: Uterine blood flow is increased from 50 ml/ min in non-pregnant state to about 750 ml near term. The increase is due to the combined effect of uteroplacental and fetoplacental vasodilatation. Pulmonary blood flow (normal 6000 ml/min) is increased by 2500 ml/min (i.e. 40% increase). Renal blood flow (normal 800 ml) increases by 400 ml/min (i.e. 50% increase) at 16th week and remains at this level till term. The blood flow through the skin and mucous membranes reaches a maximum of 500 mL/min by 36th week. Heat sensation, sweating or stuffy nose complained by the pregnant women can be explained by the increased blood flow.